The rhombencephalon includes all except
1. Midbrain
2. Pons
3. Medulla oblongata
4. Cerebellum

Correct answer: 1. Midbrain

Explanation: Midbrain is derived from mesencephalonMesencephalon also gives rise to cerebral aqueduct.Rhombencephalon gives rise to:Pons, cerebellum, medulla,4th ventricleProsencephalon gives rise to cerebrum, Thalamus, metathalamus, hypothalamus, Subthalamus, epithalamus, lateral and third ventricle.(Ref: Vishram Singh textbook of clinical neuroanatomy second edition pg 4)